Which tumour marker is raised in both hepatocellular carcinoma & testicular cancer?
1. AFP
2. CEA
3. HCG
4. CA-19

Correct answer: 1. AFP

Explanation: Alpha fetoprotein is raised in both hepatocellular carcinoma and testicular carcinoma.
CEA – colon and pancreatic carcinoma.
HCG – choriocarcinoma.
CA 19 -9 – colon and pancreatic carcinoma.